True about Congenital Rubella syndrome is
1. It will become a chronic infection
2. Virus can be isolated only upto 6months after birth
3. Triad of CRS are cataract, cardiac defects, cerebral palsy
4. Infection is most serious after five months of pregnancy

Correct answer: 1. It will become a chronic infection

Explanation: * Rubella infection gets transmitted by vertical transmission and birth defects is more common when acquired during first trimester of pregnancy. * Birth defects are uncommon when infection is acquired after 20 weeks of gestation. * Congenital Rubella syndrome leads to cardiac defects, cataract and deafness; (Classical triad). Other manifestations are hepatosplenomegaly, thrombocytopenic purpura, myocarditis and bone lesions. * Intrauterine infection of Rubella is associated with chronic persistence of disease. * Viral detection can be done in all fluids and it is excreted upto 12-18 months of age. Ref:- Jawetz TB of medical microbiology 27th edition; pg num:- 597